Buttressing bone formation is a
1. Process which is always peripheral
2. Occurs normally
3. Occurs when excessive occlusal forces are present
4. Process which is always endosteal

Correct answer: 3. Occurs when excessive occlusal forces are present